Commonest malignancy of the body of the uterus is :
1. Adenoacanthoma
2. Squamous cell carcinoma
3. Sarcoma
4. Adenocarcinoma

Correct answer: 4. Adenocarcinoma

Explanation: Adenocarcinoma